Which of the following is FALSE regarding cutaneous calciphylaxis?
1. Potentially lethal condition
2. Exemplifies dystrophic calcification
3. Characterized by progressive cutaneous vascular calcification
4. Includes increased calcium, phosphate, and parathor- mone patients with chronic renal failure

Correct answer: 2. Exemplifies dystrophic calcification

Explanation: Ans. b (Exemplifies dystrophic calcification) (Ref. Harrison's medicine 18th/pg. Ch. 280)CUTANEOUS CALCIPHYLAXIS# Calciphylaxis, an rare, potentially lethal condition characterized by progressive disseminated cutaneous, vascular and soft tissue calcification.# It is seen principally in the setting of Chronic renal failure-associated hyperparathyroidism.# It presents with painful, violaceous, mottled lesions of the extremities and/or trunk that progress to skin and subcutaneous tissue necrosis, non-healing ulcers, and gangrene.# Treatment: Timely parathyroidectomy.